All of the following are true about coronary artery, EXCEPT:
1. Right coronary artery lies in right anterior coronary sulcus
2. Left anterior descending artery is a branch of left coronary artery
3. Usually 3 obtuse marginal arteries arise from left coronary artery
4. In 85% cases posterior descending interventricular artery arises from right coronary artery

Correct answer: 3. Usually 3 obtuse marginal arteries arise from left coronary artery

Explanation: Only one obtuse marginal artery(OM1) arise from circumflex branch of left coronary artery. This obtuse marginal branch serve as a boundary between the proximal and distal portion of left circumflex artery(LCx). Portion of left circumflex artery proximal to obtuse marginal artery is called proximal LCx, whereas the segment below OM1 is the distal LCx. Ref: Clinical Anatomy for Medical Students By Richard S snell, 6th Edition, Pages 103-4